Blue color cartilage is:
1. Hyaline
2. Elastic
3. Fibrocartilage
4. Synchondrosis

Correct answer: 1. Hyaline

Explanation: Ans. A HyalineRef: Netter's Essential Histology, 2nd ed. pg. 133Hyaline cartilage is blue colored while elastic cartilage is yellow and fibrocartilage is white. Extra edgeHyaline cartilageThe most abundant and common cartilageAll long bones are pre-formed in hyaline cartilage except clavicle.Types (Mnemonic L.A.N.C.E.T- T.B)1. Larynx (Arytenoid lower end, cricoid)2. Articular cartilage3. Nasal cartilage4. Costal cartilage5. Embryonic cartilage6. Tracheal cartilage7. Thyroid cartilage8. Bronchial cartilage